The classic triad of ruptured ectopic pregnancy includes all except
1. Fainting
2. Abdominal pain
3. History of amenorrhoea
4. Vaginal bleeding

Correct answer: 1. Fainting

Explanation: Ans. is'a'i.e., FaintingThe symptoms of patient with ruptured ectopic pregnancy are as follows:Classic triad of abdominal pain, history of amenorrhoea and vaginal bleeding.Abdominal pain is the most constant feature with acute agonizing colicky type of pain.Shoulder pain may be present due to diaphragmatic irritation from hemoperitoneum leading to referral shoulder pain.Vomiting and fainting attacks are observed in 10%o of the patients due to reflex vasomotor disturbances following peritoneal irritation from hemoperitoneum.